Which of the following is not an RNA virus?
1. Ebola
2. Simian 40
3. Rabies
4. Vesicular stomatitis virus

Correct answer: 2. Simian 40

Explanation: Simian vacuolating virus (SV40) is a small nonenveloped, icosahedral DNA tumour virus. Polyoma & SV40 produce malignant tumours when inoculated into the newborn mice / hamsters. These viruses have been widely employed in the study of viral oncogenesis. Also Know: Oncogenic. RNA viruses - An leukosis viruses, Murine leukosis viruses, Human T cell leukaemia viruses, Leukosis - sarcoma virus. Oncogenic DNA viruses - Polyomavirus, SV40, Molluscum contagiosum, Epstein-Barr virus, Cytomegalovirus, Herpes simplex viruses type 1& 2. Ref: Ananthanarayanan & Paniker's textbook of microbiology 8th ed pg 549.